Which of the following is false about dumping syndrome
1. Patients may have cardiovascular symptoms
2. Low carbohydrate and high protein diet must be taken
3. Fluids should be taken in between meals
4. Supplementation of pectin will increase symptoms

Correct answer: 4. Supplementation of pectin will increase symptoms

Explanation: Dumping syndrome patients come with cardiovascular and gastrointestinal symptoms like palpitation, sweating, weakness, abdominal bloating, cramps and vomiting
Patient should be advised low carbohydrates and sugar and high fats and protein diet.
Somatostatin analogues are used as treatment